CA125 is used for?
1. Follow up of ovarian cancer
2. Diagnosis of pancreatic cancer
3. Diagnosis of stomach cancer
4. Diagnosis of ovarian cancer

Correct answer: 1. Follow up of ovarian cancer

Explanation: ANSWER: (A) Follow up of ovarian cancerREF: Robbins pathology ch: 7Biochemical assays for tumor-associated enzymes, hormones, and other tumor markers in the blood cannot be used for definitive diagnosis of cancer; however, they contribute to the detection (screening) of cancer and in some instances are useful in determining the effectiveness of therapy or the appearance of a recurrence. Remember tumour markers are always used for screening or prognosis, never for diagnosis.Conditions associated with raised CA-125Best known tumour marker for ovarian ca. endometrial cancer, fallopian tube cancer, lung cancer, breast cancer and gastrointestinal cancer.CA-125 may also be elevated in a number of relatively benign conditions, such as endometriosis several diseases of the ovary, menstruation and pregnancy. It also tends to be elevated in the presence of any inflammatory condition in the abdominal area, both cancerous and benign.Role of CA-125 in ovarian carcinoma:[?] Early detection and prognosis[?] Monitor responses to chemotherapy, relapse, and disease progression.[?] Levels of CA125 can be elevated in the serum before clinical development of primary and recurrent ovarian carcinoma[?] An important characteristic of CA125 is the ability to reflect changes in tumor mass during chemotherapy or in the follow-up period after completion of therapy[?] The postoperative serum CA125 level is an independent prognostic factor in patients with invasive ovarian cancer